Ectopic rest of normal tissue is known as -
1. Choristoma
2. Hamartoma
3. Pheudotumor
4. Lymphoma

Correct answer: 1. Choristoma

Explanation: Choristomas, forms of heterotopia, are closely related benign tumors, found in abnormal locations. The two can be differentiated as follows: a hamartoma is an excess of normal tissue in a normal situation (e.g. a birthmark on the skin), while a choristoma is an excess of tissue in an abnormal situation (e.g. pancreatic tissue in the duodenum).